Acute arterial embolus to lower extrimities will come with symptoms of ?
1. Pain, swelling and cynosis
2. Pain, palor, paresthesia and pulselessness
3. Cyanosis & absent pulse distal to emboli
4. Pallor, pulselessness and swelling

Correct answer: 2. Pain, palor, paresthesia and pulselessness

Explanation: Embolic arterial occlusion presents with pain, pallor, paresthesia, paralysis and loss of pulsation. Reference Bailey and love, 27th edition, page 955